Venturi meter is used for –
1. Measuring amount required for chlorination
2. Measuring air velocity
3. Measuring bed strength in slow sand filter
4. Measuring dissolving capacity of gas

Correct answer: 3. Measuring bed strength in slow sand filter